A person unacclimitised develops pulmonary edema in
1. 2 - 3 days
2. 6 -7 days
3. 19 - 21 days
4. 2nd - 3rd month

Correct answer: 1. 2 - 3 days

Explanation: A small percentage of people who ascend rapidly to high altitudes become acutely sick and can die if not given O2 or rapidly moved to a low altitude. The sickness begins from a few hours up to about 2 days after ascent. Two events frequently occur. Acute cerebral edema and acute pulmonary edema.